A 50-year-old man came with the complaint of a headache and raised intracranial tension. Radiological examination revealed a brain tumor compressing Supraoptic nucleus in the hypothalamus. Which of the following hormone is decreased?
1. Adrenocorticotropic hormone (ACTH)
2. Follicle-stimulating hormone (FSH)
3. Growth hormone
4. Antidiuretic Hormone

Correct answer: 4. Antidiuretic Hormone

Explanation: ADH is formed primarily in the supraoptic nuclei, whereas oxytocin is formed primarily in the paraventricular nuclei whereas other hormones are from the anterior pituitary.